A 56-year-old reports to the ER and on attempting to take a history, she is having difficulty answering questions. Her daughter reports that this is not normal and gives the history on her mother's behalf. She reports that, for the past two hours, her mother has been unable to lift her right arm and is struggling walking. On examination, there is reduced power (3/5) in all myotomes of her right arm and leg. There is facial drooping on the right-hand side that spares the forehead. Visual field tests elicit a right homonymous hemianopia. She is unable to speak but is able to follow commands. According to the Oxford Stroke Classification what stroke is this?
1. Lacunar Stroke (LACS)
2. Total Anterior Circulation Stroke (TACS)
3. Posterior Inferior Cerebellar Artery Infarction
4. Posterior Circulation Stroke (POCS)

Correct answer: 2. Total Anterior Circulation Stroke (TACS)

Explanation: Oxford Stroke Classification Type of infarct Criteria and features Total anterior circulation infarct (TACI) Combination of all 3: 1. Unilateral hemiparesis and/or hemisensory loss of face, arm and legs-(motor and sensory cortex affected) 2. Homonymous hemianopia (involvement of the optic radiation) 3. Higher cognitive dysfunction: - Expressive or receptive Dysphasia (Dominant hemisphere involved) - Visual and sensory inattention - Neglect(Non dominant hemisphere involved) Partial anterior circulation infarcts (PACI) 2/3 of the criteria for TACI Lacunar Infarction (LACI) Cortex is spared(No higher cortical function defect) One of the following is needed for diagnosis: - Pure motor hemiparesis - Pure hemi sensory loss - Sensorimotor stroke - Ataxic hemiparesis - Dysarthria Posterior Circulation Infarction (POCI) "Crossed" syndromes, with I/L cranial nerve palsy C/L motor and/or sensory deficit Features include: - Ataxia - Cerebellar syndrome - Horner's Syndrome - Isolated homonymous hemianopia (occipital lobe supplied by posterior cerebral artery) - Cortical blindness (basilar artery occlusion affecting both occipital cortices)